Secretion of prolactin is inhibited by?
1. Dopamine
2. Nor - adrenaline
3. Adrenaline
4. Serotonin

Correct answer: 1. Dopamine

Explanation: PIH is secreted from hypothalamus Prolactin inhibiting hormone PIH (dopamine) Dopamine in the pituitary it stimulates D2 receptors Stimulated D2 receptors decrease prolactin D2 receptors are stimulated by a drug called as cabergoline DOC for hyperprolactinemia is cabergoline DA stimulates D2 receptors - | prolactin -